In a 2 year old child, a bluish dome shaped swelling on the inner side of the tip is mostly
1. Hematoma
2. Mucocoele
3. Hemangioma
4. None of the above

Correct answer: 2. Mucocoele